All of the following statements about Sternberg Canal are true, except?
1. Causes intrasphenoidal meningocele
2. Represents persistent craniopharyngeal canal
3. Located anterior and medial to Foramen Rotundum
4. Located posterior and lateral to Foramen Rotundum

Correct answer: 4. Located posterior and lateral to Foramen Rotundum

Explanation: Sternberg's canal is located anterior and medial to foramen rotandum. It is also known as lateral craniopharyngeal canal.